All are true about losartan, except ?
1. Angiotensin II antagonist
2. Causes hyperuricemia
3. Does not cause cough
4. Long acting metabolites

Correct answer: 2. Causes hyperuricemia

Explanation: Ans. is 'b' i.e., Causes hyperuricemia Losartan is a mild uricosuric agent, Le causes hypouricemia o Losartan is a competitive antagonist of angiotensin II (10000 times more selective for AT! than AT2). o In liver it gets converted to long acting metabolite (E 3174) which is 10-30 times more potent non competitive antagonist of AT1 o Plasma t '/2 of i) Losartan ---> 2hr ii) E3174 --> 6-9 hrs. o It has several advantages over ACE inhibitors It does not cause cough and angiodema It does not cause dysguesia (altered taste sensation) It does not cause first dose hypotension AT-11 antagonists are more effective than ACE inhibitors in blocking the vasopressor action of angiotension-IL Similarities with ACE inhibitor 3 Hyperkalemia and, hypotension 3 Teratogenic Contraindicated in pregnancy Why do AT-II antagonists not cause cough and angiodema, while ACE inhibitors do ? Lets see Bradykinin and sustance P are substrate for ACE. ACE inhibitors increase level of these kinins by inhibiting ACE, which is responsible for cough and angiodema. AT-II antagonists do not inhibit ACE (they block AT-II recepotors) --> No increase in the level of bradykinin and subustance P --> No cough & angiodema.